Galle's test is used for -
1. Otosclerosis
2. Juvenileangiofibroma
3. Nasal polyp
4. None

Correct answer: 1. Otosclerosis

Explanation: Ans. is 'a' i.e., Otosclerosiso See the above explanation.Gelle's testo It is a bone conduction test and examines the effect of increased air pressure in ear canal on hearing.o Increased air pressure in the ear canal (by Siegle's speculum) pushes the tympanic membrane and ossicles inwards which raises the intralabyrinthine pressure and causes immobility of basilar membrane and decreased hearing,o However, if ear ossicles are already fixed or disconnected, the pressure cannot be transferred to the inner ear - No change in hearing in this situation.o The base of the vibrating tuning fork is placed on the mastoid process and air pressure in ear canal increased (by Siegle's speculum).o Interpretation is : -Positive Gelle's (decreased hearing on increased pressure) -Normal or sensorineural hearing loss.Negative Gelle's (No effect of pressure change in hearing)- Disconnected or fixed ossicular chain.